Lid retraction is caused by ?
1. Bimatoprost
2. Latanoprost
3. Brimonidine
4. Apraclonidine

Correct answer: 4. Apraclonidine

Explanation: Points to remember - Apraclonidine

Sympathomimetic drug
Indication - Open-angle Glaucoma
Mechanism of action - Decrease aqueous secretion
Adverse effect - Upper lid retraction, eye allergy.